Flag sign and flaky paint dermatitis are characteristically seen in
1. Kwashiorkar
2. Marasmus
3. Pellagra
4. Nutritional dwarf

Correct answer: 1. Kwashiorkar

Explanation: (A) Kwashiorkar # Hair changes: The hair is thin, dry, brittle, easily pluckable, sparse, and devoid of their normal sheen. It becomes straight and hypopigmented. The length of the hair that grows during the period of nutritional deprivation appears reddish brown. During the phases of better nutrition, the growing part of the hair gets appropriately pigmented. This gives appearance of alternate bands of hypo-pigmented and normally pigmented hair (flag sign)> Hair changes are related more to the duration of undernutrition and are absent in acute PEM.> The eyelashes can undergo the same change, having a so-called broomstick appearance.> Skin changes: Large areas of skin show erythema, followed by hyperpigmentation. Hyperpigmented patches may desquamate to expose raw hypopigmented skin. It gives appearance of old paint flaking off the surface of the wood (flaky paint dermatosis). Lesions are mere marked on extremities. The underlying raw skin is easily infected The skin lesions are marked in body areasmost exposed to continuous pressure and irritation